Halstead Reitan battery involves all except:
1. Finger oscillation
2. Constructional praxis
3. Rhytm
4. Tactual performance

Correct answer: 2. Constructional praxis

Explanation: Constructional praxis is not a part of Halstead reitan battery. Extra edge Neuropsychological Tests Used in Psychiatry Halstead-Reitan battery Brain lesion localization and effects Luria-Nebraska neuropsychological battery Cerebral dominanceTypes of brain dysfunction, such as dyslexia Bender Visual Motor Gestalt Visual and motor ability through the reproduction of designs Digit symbol substitution Dementia, depression, and age-related cognitive decline Boston naming Dementia Wisconsin card sort Executive function(Abstract reasoning and flexibility in problem-solving) Folstein Mini-Mental State Examination Delirium and dementia